All the following are signs of intrauterine foetal death except:
1. Spalding's sign
2. Hegar's sign
3. Robert's sign
4. Halo sign

Correct answer: 2. Hegar's sign

Explanation: Hegar's sign